Fructose is transported by -
1. GLUT 5
2. GLUT 4
3. GLUT 3
4. GLUT 7

Correct answer: 1. GLUT 5

Explanation: Ans. is 'a' i.e., GLUT 5 o GLUT-5 is a transporter for fructose. FunctionMajor sites of expressionSecondary active transport(Na+-glucose cotransport) o SGLT1Absorption of glucoseSmall intestine, renal tubuleso SGLT 2QAbsorption of glucoseRenal tubules QFacilitated diffusionoGLUT1Basal glucose uptakePlacenta, Blood-brain barrier, brain. RBC,Kidney, colono GLUT 2 B-cell glucose sensor Q,Transport out of intestinal and renal epithelial cellsB cells of islets, liver, epithelial cells of small intestine & Kidneyo GLUT 3Basal glucose uptakeBrain, Placenta, Kidneyo GLLT4 QInsulin-stimulating glucose uptake QSkeletal and cardiac muscle Q,Adipose tissueo GLUT 5 QFructose transport QJejunum, spermo GLUT6NonePseudogeneoGLUT7G-6-P transporter in ERLiver